Catecholamines are synthesized from ?
1. Tryptophan
2. Tyrosine
3. Methionine
4. Histidine

Correct answer: 2. Tyrosine

Explanation: Ans. is 'b' i.e., Tyrosine Catecholamines (epinephrine, norepinephrine and dopamine) are synthesized from tyrosin. Has been explained in previous seesions.